Which type of pelvis is associated with increased incidence of 'face to pubis' delivery?
1. Gynecoid pelvis
2. Anthropoid pelvis
3. Android pelvis
4. Platypelloid pelvis

Correct answer: 2. Anthropoid pelvis

Explanation: Ans. is b, i.e. Anthropoid pelvisRef. Dutta Obs. 9/e, p 325, Table 24.1, 8/e, p 403, Table 24.2As discussed in the text in Table 7.2 face-to-pubis delivery is common in anthropoid pelvis.